Sclerosis of bile duct is seen in ?
1. Primary sclerosing cholangitis
2. Obstructive jaundice
3. Bile duct atresia
4. Bile stones

Correct answer: 1. Primary sclerosing cholangitis

Explanation: Ans. is 'a' i.e., Primary sclerosing cholangitis